"Systematic desensitization" behavioural therapy is used to treat
1. Depression
2. Anxiety disorders
3. Attention deficit hyperactivity disorder
4. Anterograde amnesia

Correct answer: 2. Anxiety disorders

Explanation: (B) Anxiety disorders # SYSTEMATIC DESENSITIZATION, also known as graduated exposure therapy is a type of behavior therapy used in the field of psychology to help effectively overcome phobias and other anxiety disorders.> The process of systematic desensitization occurs in three steps.> The first step of systematic desensitization is the identification of an anxiety inducing stimulus hierarchy.> The second step is the learning of relaxation or coping techniques. Once the individual has been taught these skills, he or she must use them in the third step to react towards and overcome situations in the established hierarchy of fears.> The goal of this process is for the individual to learn how to cope with, and overcome the fear in each step of the hierarchy.